In a patient with history of prolonged alcohol intake, seizures will occur after....of alcohol withdrawl:
1. 4-6 hours
2. 24-48 hours
3. 2-4 days
4. 4-7 days

Correct answer: 2. 24-48 hours

Explanation: Ans: B i.e. 24-48 hours Alcohol withdrawl syndrome Uncomplicated alcohol withdrawl syndrome (coarse tremor, sweating, insomnia etc.) occurs 4-12 hours after the last alcoholic drink. Alcohol withdrawl syndrome with seizures occurs in 5-15t of cases. Such withdraw] are complicated by grandmal seizure occurring 6-48 hours after the last drink. Delirium tremens occurs in 5% of episodes of withdrawl. Onset 1-7 days after the last drink with a peak incidence at 48 hours.